Blood sample of a 45 year old male shown increased levels of homovanillic acid. This patient is most likely suffering from:-
1. Dementia
2. Schizophrenia
3. Depression
4. Parkinson's disease

Correct answer: 2. Schizophrenia

Explanation: The HVA is a metabolite of dopamine. Dopamine is usually increased in schizophrenia. Psychopathology Increased (|) or Decreased (|) Concentration of Metabolite in Blood Plasma, Cerebrospinal Neurotransmitter Fluid, or Urine Schizophrenia Conditions involving psychosis (|) HVA (homovanillic acid) Dopamine Parkinson's disease Treatment with anti-psychotic agents Depression (|) HVA Dopamine